Anterior cruciate ligaments prevent:
1. Anterior dislocation of ulna
2. Posterior dislocation of ulna
3. Anterior Dislocation of tibia
4. Posterior dislocation of tibia

Correct answer: 3. Anterior Dislocation of tibia

Explanation: Ans. (c) Anterior Dislocation of tibiaRef: Maheshwari 5th ed. /148-149* The anterior cruciate ligament (ACL) stretches from the lateral condyle of femur to the anterior intercondylar area.* The ACL is critically important because it prevents the tibia from being pushed too far anterior relative to the femur. It is often torn during twisting or bending of the knee.* ACL is considered as the major stabilizer of the knee. Therefore, ACL Tears are the most common knee injuries.* If there is ACL tear, reconstruction is most commonly done by autograft, meaning the tissue used for the repair is from the patient's body.* The two most common sources for tissue are the patellar tendon and hamstrings tendon* The posterior cruciate ligament (PCL) stretches from medial condyle of femur to the posterior intercondylar area.* This ligament prevents posterior displacement of the tibia relative to the femur.